The preferred treatment option for primary syphilis is -
1. Injection benzathine pencillin 2.4 million units IM single dose
2. Injection benzathine pencillin 2.4 million units IM once a week for 3 weeks
3. Cap. doxycycline 100 mg orally twice a day for 2 weeks
4. Tab. azithromycin 2 gm single dose

Correct answer: 1. Injection benzathine pencillin 2.4 million units IM single dose

Explanation: Ans. is 'a' i.e.,Injection benzathine pencillin 2.4 million units IM single dose